Which of the following are indications of dialysis in a patient with suspected poisoning?
1. Prolonged coma
2. Hepatic and renal failure
3. Plasma levels in fatal range of the toxin
4. All of the above

Correct answer: 4. All of the above

Explanation: Ans. D. All of the aboveIndications of Dialysis in a patient with suspected poisoning are:Prolonged coma, Hepatic and renal failure, Plasma levels in fatal range, when removal of toxin is possible only dialysis (e.g. barbitutates, chloral hydrate, ethylene glycol, theophylline, salicylates and heavy metals)